Incubation period of Hepatitis B is
1. 15-50 days
2. 50-160 days
3. 10 days
4. 100 days

Correct answer: 2. 50-160 days